The treatment of choice for anaplastic carcinoma of thyroid infiltrating Sternum will be
1. Radical excision
2. Chemotherapy
3. Radiotherapy
4. Palliative / Symptomatic treatment

Correct answer: 4. Palliative / Symptomatic treatment